Drug used to reverse remodeling of heart in congestive cardiac failure are all except:
1. Beta blocker
2. ACE inhibitor
3. Digoxin
4. Aldosterone antagonist

Correct answer: 3. Digoxin